Preservative used for toxicological specimen :
1. 20% formalin
2. Saturated sodium chloride
3. 20% alcohol
4. 10% alcohol

Correct answer: 2. Saturated sodium chloride

Explanation: B i.e. Saturated salt solution